Shortest acting neuromuscular blocker is :
1. Gallamine
2. Pancuronium
3. Succinylcholine
4. d–TC

Correct answer: 3. Succinylcholine